Sensory receptors with delayed recovery and least coverage?
1. Pacinion corpuscle
2. Ruffini endings
3. Meissner corpuscle
4. Merkel's disc

Correct answer: 4. Merkel's disc

Explanation: Ans. D. Merkel's diskReceptive field of sensory receptors :Smallest receptive field (Least coverage) : Merkel's disc, Meissner corpuscles ii) Wide receptive field : Pacinian corpuscle, Ruffini end organ (Ruffini corpuscle)Adaptation of sensory receptors :-Rapidly adapting (rapid recovery) - Meissner's corpuscles, Pacinian corpuscles, II) Slowly adapting (delayed recovery) -4 Merkel's disc, Ruffini's end organs